Not true about familial polyposis colon cancer syndrome?
1. Autosomal recessive
2. Associated with fibromas and osteomas
3. Associated with brain tumors
4. 100% incidence of colon carcinoma

Correct answer: 1. Autosomal recessive

Explanation: Familial polyposis (FAP) syndrome is autosomal dominant.